Ganser syndrome is Frequently seen in:
1. Doctors
2. Rape victims
3. Prisoners
4. Lawyers

Correct answer: 3. Prisoners

Explanation: Ganser syndrome is a type of dissociative disorder frequently seen in prisoners charachterized by clouding on consciousness, auditory & visual hallucinations and approximate answers.